Which of the following leads to hyponatremia and low osmolality:
1. Hyperlipidemia
2. Hyperproteinemia
3. IVIG therapy
4. CHF

Correct answer: 4. CHF

Explanation: CHF is characterized by low perfusion of kidney stimulating R.A.A.S and resultant absorption of salt and disproportionate amount of water would lead to hyponatremia with decreased osmolality Isotonic hyponatremia is seen with hyperlipidemia and hyperproteinemia like in paraproteinemia IV immunoglobulin therapy also interferes with measurement of serum sodium leading to pseudo-hyponatremia